The equilibrium potential for sodium is
1. 60
2. -70
3. -90
4. All

Correct answer: 1. 60

Explanation: Equilibrium potential is also called isoelectric potential During this there is no movement of ions Equilibrium potential for sodium is:+60 Ref:Guyton and Hall textbook of medical physiology 12th edition,page number:58